All are causes of acute hyponatremia except
1. TURP surgery
2. Exercise
3. Recent institution of thiazides
4. SIADH

Correct answer: 4. SIADH

Explanation: Causes of Acute Hyponatremia Iatrogenic Postoperative: premenopausal women Hypotonic fluids with cause of | vasopressin Glycine irrigation: TURP, uterine surgery Colonoscopy preparation Recent institution of thiazides Polydipsia MDMA ("ecstasy," "Molly") ingestion Exercise-induced Multifactorial, e.g., thiazide and polydipsia Ref: Harrison 19e pg: 301